The karyotype in testicular feminising syndrome is?
1. XX
2. XY
3. XXY
4. XXXY

Correct answer: 2. XY

Explanation: Androgen insensitivity syndrome (AIS), formerly known as testicular feminization, is an X-linked recessive condition resulting in a failure of normal masculinization of the external genitalia in chromosomally male individuals.
An individual with 'androgen insensitivity syndrome' is XY individuals (male karyotype) with a female phenotype.